50 years old patient development wound infection post laparotomy for pyoperitoneum, was treated conservatively. Now granulation tissue is seen in the wound. what is the next step of management?
1. Daily dressing
2. Mesh repair
3. Incision and drainage
4. Resulting with interrupted stitches

Correct answer: 4. Resulting with interrupted stitches

Explanation: After the developpment of granulation tissue in thw wound, resulting with interrupted stitches done.